Which of the following is NOT a predisposing for thrombosis and embolism?
1. Atrial fibrillation
2. Prolonged immobilization
3. Huntington disease
4. Prosthetic cardiac valve

Correct answer: 3. Huntington disease